Characteristic feature of Rheumatic carditis is :
1. Pericarditis
2. Endocarditis
3. Myocarditis
4. Pancarditis

Correct answer: 4. Pancarditis

Explanation: Answer is D (Pancarditis) Rheumatic fever is characterized by Pancarditis. During Acute Rheumatic fever, diffuse inflammation and Aschoff bodies may be found in any of the three layers of heart - pericardium, myocardium or endocardium, hence the lesion is called pancarditis.